Second messenger is produced from:
1. Phosphatidylinositol
2. Phosphatidylserine
3. Phosphatidylcholine
4. None

Correct answer: 1. Phosphatidylinositol

Explanation: Ans. A. Phosphatidylinositol(Ref: Harper 31/e page 202)PhosphatidylinositolPhosphatidylinositol presents in the cell membrane.The inositol is present as its stereoisomer, myoinositol.Plays an important role in cell signaling and membrane trafficking.Phosphatidyl inositol is a precursor of second messenger in hormonal pathways.Action of Phospholipase C on Phosphatidyl Inositol 4,5 Bisphosphate (PiP2 )Diacyl Glycerol and Inositol Tris phosphate IP3 are formed and both act as second messengers.